Vitamin synthesized from amino acid is?
1. Thiamine
2. Riboflavin
3. Biotin
4. Niacin

Correct answer: 4. Niacin

Explanation: Ans. (d) NiacinRef Harper's Biochemistry 28/e, chapter 44